All are true about arsenic poisoning EXCEPT:
1. Aldrich mees line on nails
2. Mimics tetanus
3. Rain drop pigmentation on body
4. Hyperkeratosis of palms and soles

Correct answer: 2. Mimics tetanus

Explanation: Ans. (b) Mimics tetanusRef: The Essentials ofFSM by K.S. Narayan Reddy 31st ed. / 501-502Arsenic Poisoning Features* It is the most commonly used homicidal poison.* Presents with Haemorrhagic gastroenteritis and necrosis of intestinal mucosa.* It mimics Cholera NOT tetanus (Strychinine mimics tetanus).* Diarrhea accompanied by tenesumus and anal irritation.* Arsenic poisoning is also characterized by 3 Rs# Red velvety mucosa upon PM# Rain drop pigmentation on body# Reinsch test or maRsh test- used to test the arsenic* They deposited on skin, hair and nail because they contain keratin, hence it is preserved.* Hyperkeratosis on palms and soles.* Fatal dose: 0.1-0.2 gm.* On nails specific lines seen known as: Aldrich Mees Line* Upon chronic poisoning# Sensory motor polyneuropathy causing tingling, numbness 8c paresis# Encephalopathy* Antidote: Hydrated Ferric oxide.